Earliest radiological change to appear in case of acute osteomyelitis is
1. Periosteal reaction
2. Loss of plane between soft tissue and muscle
3. Sequestrum formation
4. Bony sclerosis

Correct answer: 2. Loss of plane between soft tissue and muscle

Explanation: Ans. Loss of plane between soft tissue and muscle